Which of the following is a radiolucent stone?
1. Uric acid
2. Oxalate
3. Cysteine
4. Triple phosphate

Correct answer: 1. Uric acid

Explanation: Ans: a (Uric acid) Ref: Bailey and Love, 24th ed, p. 1317Pure uric acid stones are radiolucent and appear in an excretory urogram as filling defects.Uric acid stones if contain calcium, will cast a faint radiological shadow.Examples for radiolucent stones* Uric acid* Dihydroxy adenine* Orotic acid* Xanthine* Allopurinol* Triamterine and Indinavir induced stones.